Most radiosensitive tissue of body among the following is
1. Bone marrow
2. Spleen
3. Kidney
4. Brain

Correct answer: 1. Bone marrow

Explanation: Ans. a (Bone marrow). (Ref. Harrison, Medicine, 15th ed., 2588)The minimal tolerance dose (Rads) for (TD 5/5):Bone marrow250 (radiosensitive)Spleen1000Kidney1500Brain5000 (radioresistant)Liver2500Intestine4500Heart3000Lung3000Testis600-1000 (radiosensitive)